Reactivation of TB is almost exclusively a disease of-
1. Bone
2. Lymph nodes
3. Lung
4. Brain

Correct answer: 3. Lung